Causes of conjugated hyperbilirubinemia is __________
1. Rotor syndrome
2. Breast milk jaundice
3. Crigler najjar
4. Gilbert syndrome

Correct answer: 1. Rotor syndrome

Explanation: Rotor syndrome - conjugated hyperbilirubinemia. All others causes unconjugated hyperbilirubinemia. Other causes of conjugated hyperbilirubinemia are neonatal cholestasis, infections like acute viral hepatitis, enteric fever, malaria, leptospirosis, chronic liver diseases, liver tumour, infiltration, Dubin-Johnson syndrome, choledochal cyst, choledocolithiasis, ascariasis, drugs, TPN. Reference : page 312 Ghai Essential Pediatrics 8th edition